Kleptomania is:
1. Delusion disorder
2. Obsession
3. Impulse disorder
4. Compulsion Seclusion

Correct answer: 3. Impulse disorder

Explanation: Ans. C (Impulse...) Habbit & Impulse Disorders are:Pathological gamblingPyromaniaKelptomaniaTrichotillomniaIntermittent explosive disorderDefinition: The defining behavior of kleptomania is the repetitive theft of items that are usually of little monetary' value and are not realistically needed. Increasing tension is experienced before stealing. Feelings of relief and gratification during and after the act eventually give way to guilt, remorse, and self- loathing, compounded by the fear of arrest. Kleptomania is profoundly repugnantTable: DSM-IV-TR Diagnostic Criteria for Kleptomania Kaplan & Sadock'sRecurrent failure to resist impulses to steal objects that are no t needed for personal use or for their monetary value.Increasing sense of tension immediately before committing the theft.Pleasure, gratification, or relief at the time of committing the theft.The steaiing is not committed to express anger or vengeance and is not in response to a delusion or a hallucination.The stealing is not better accounted for by conduct disorder, a manic episode, or antisocial personality1 disorder.